Best predictor for coronary artery disease -
1. HDL
2. LDL
3. VLDL
4. Chylomicron

Correct answer: 2. LDL

Explanation: LDL is the best indicater of the risk for CAD.high level of LDL is the indicater